Lisfranc fracture dislocation involves
1. Lunate
2. Scaphoid
3. Tarso-metatarsal
4. Capitate

Correct answer: 3. Tarso-metatarsal

Explanation: Lisfranc Fracture - Fracture dislocation of tarso- metatarsal area. Choparts fracture - fracture dislocation of intertarsal area